The technique of identification based on the evaluation of friction ridges on the volar areas is called as
1. Dactylography
2. Poroscopy
3. Ridgeology
4. Rugoscopy

Correct answer: 3. Ridgeology

Explanation: Ridgeology : Ridgeology is the study of friction ridges which are composed of the edges of ridge units which vary in size, shape and alignment.